Refractory period is minimum for
1. A alpha
2. A beta
3. A delta
4. C fibers

Correct answer: 1. A alpha